Most common congenital abnormality of the larynx is:
1. Laryngomalacia
2. Laryngeal web
3. Subglottic stenosis
4. Subglottic haemangioma

Correct answer: 1. Laryngomalacia

Explanation: (Laryngomalacia): Ref: 353-D (272-D 4th)LARYNGOMALACIA (Congenital Laryngeal strider) is the most common congenital abnormality of the larynx* The condition manifests at birth or soon after, and usually disappears by 2 years of age* It is characterized by excessive flaccidity of supraglottic larynx which is sucked in during inspiration producing stridor and sometimes cyanosis* Stridor is increased on crying but subsides on placing the child in prone position. Cry is normal* Direct laryngoscopy shows elongated epiglottis, curled upon itself (omega-shaped) floppy aryepiglottic folds and arytenoids* Treatment is conservative, Tracheostomy for severe respiratory obstruction.